Which of these is a feature of hemorrhagic disease of new born?
1. Prolonged prothrombin time
2. Defective platelet count
3. Prolonged bleeding time
4. Prolonged thrombin time

Correct answer: 1. Prolonged prothrombin time

Explanation: Normal newborns are moderately deficient in vitamin K. This deficiency increases on 3rd to 5th day when, vitamin K level falls further. The serum level of vitamin K starts increasing from 13th to 15th day of life and achieves adult level at 3 months. In hemorrhagic disease of the newborn, there is delay in achieving the normal vitamin K level. Prolongation of PT values is the most common and earliest finding in vitamin K-deficient patients due to reduction in prothrombin, factor VII, IX, and X levels. F VII has the shortest half-life among these factors that can prolong the PT before changes in the aPTT.